A 30 years old male patient presents with complaints of weakness in right upper and both lower limbs of last 4 months. He developed digital infarcts involving 2nd and 3rd fingers on right side and 5th finger on left side. ern examination, P was 160/140 min Hg, all peripheral pulses were palpable and there was asymmetrical neuropathy. Investigations showed a Hb 12 gm, TLC - 12000 Cu mm, Platelets 4,30,000, ESR - 49 mm. Urine examination showed proteinuria and RBC -10 -15/ hpf with no casts. Which of the following is the most likely diagnosis ?
1. Polyarteritis nodosa
2. Systemic lupus erythematosus
3. Wegener's granulomatosis
4. Mixed cryoglobulemia

Correct answer: 1. Polyarteritis nodosa